Population covered by CHC
1. 5000
2. 20,000
3. 30,000
4. 100,000

Correct answer: 4. 100,000

Explanation: Ans. (d) 100,000Ref : K. Park 23rd ed. / 907* CHC is community health Centre. It covers 120,000 population in plain areas and 80,000 population in hilly areas.* Since, 120,000 is not in option, 100,000 is the closest and best answer.Also Know* PHC is considered as Primary level of health care is. It is considered as 1st level of contact.* CHC is considered as secondary level of health care and first referral unit.* Tertiary level of health care is delivered through medical colleges and hospitals.Health Care UnitPopulation coveredPlainHilly/Tribal/BackwardCHC120,00080,000PHC30,00020,000MPW50003000AWW400-800300-800ASHA/VHG/TBA1000